Which of the following drugs is most likely to result in addiction among those who have ever used it?
1. alcohol
2. tobacco
3. cocaine
4. heroin

Correct answer: 2. tobacco

Explanation: Almost one-third of people who have tried tobacco become addicted. In comparison, about 15% become addicted to alcohol. Heroin is also highly addictive (23% of users become addicted), but since so few people even try heroin, the addiction rate in society as a whole is quite low (0.4%).